Prinzmetal angina is-
1. Angina after extreme exertion
2. Caused due to atherosclerotic blockade
3. Caused due to spasm of artery
4. Calcium channel blockers not effective

Correct answer: 3. Caused due to spasm of artery